Additional daily energy requirement during the first six months of a lactating woman is -
1. 350 K calories
2. 450 K calories
3. 550 K calories
4. 600 K calories

Correct answer: 4. 600 K calories

Explanation: - the energy requirements of women are increased during pregnancy and lactation. - additional 600 kcal daily is needed during first six months of lactation. Reference: Park's textbook of preventive and social medicine, 23rd edition, pg no:633